Normal ratio of CD4 (T4) : CD8 (T8) is
1. 2:01
2. 1:02
3. 3:01
4. 1:03

Correct answer: 1. 2:01

Explanation: Both CD4+ and CD8+ T cells contain several subsets. The CD4+/CD8+ ratio in the peripheral blood of healthy adults and mice is about 2:1, and an altered ratio can indicate diseases relating to immunodeficiency or autoimmunity. An inverted CD4+/CD8+ ratio indicates an impaired immune system. 
Ref :https://www.ncbi.nlm.nih.gov/pmc/articles/PMC5667733